Lungs do not collapse during expiration because of the presence of?
1. Hyaline membrane
2. Dipalmitoyl phosphatidyl choline
3. Macrophages
4. Interstitial fluid

Correct answer: 2. Dipalmitoyl phosphatidyl choline

Explanation: b. Dipalmitoyl phosphatidyl choline(Ref: Ghai 8/e p 169-170)Dipalmitoyl phosphatidyl choline is an important constituent of Surfactant, which prevent alveolar collapse during expiration.